Extent of esophagus -
1. C2-C6
2. C6-T10
3. T2-T10
4. C1-T4

Correct answer: 2. C6-T10

Explanation: Ans. is 'b' i.e., C6 - T10 Esophaguso It is a narrow muscular tube measuring 25 cm long connecting pharynx with stomach.o It begins as a continuation of laryngopharynx at the level of lower border of cricoid cartilage at the level of C6 vertebrae and passes through the diaphragm at the level of T10 through esophageal hiatus of diaphragm. It ends at T11 level by opening into cardiac orifice of stomach.o Oesophagus does not have straight course rather it presents anteroposterior curvatures.o It is lined by stratified squamous nonkeratinized epithelium.o Esophagus is divided into three parts (i) Cervical part (4 cm), (ii) Thoracic part (20 cm), and (iii) abdominal part (1 - 2 cm).o AnterjaTsupply of cervical part is by inferior thyroid artery, thoracic part by esophageal branches of descending thoracic aorta and branchial arteries, and abdominal part by left gastric artery and left inferior phrenic artery.o Venous drainage of cervical part is through inferior thyroid veins, thoracic part by azygous vein, and abdominal part by left gastric vein.o Lymphatic drainage of cervical part is by deep cervical nodes, thoracic part is by posterior mediastinal nodes and abdominal part is by left gastric nodes.